The first sign of puberty in female is
1. Tanner stage I
2. Tanner stage II
3. Pubic hair
4. Axillary hair

Correct answer: 2. Tanner stage II

Explanation: Thelarche is the first sign of puberty in a girl around the age of 10 yearsDefinition:- beginning of secondary (Postnatal) breast development at the onset of puberty in girlsTanner stage 2 breast development.Because of rising level of estradiol.Breast development in a male is termed as gynecomastia, not thelarche(Refer: Nelson's Textbook of Pediatrics, SAE, 1st edition, pg no. 926)